Casal necklace is seen in?
1. Scurvy
2. Kwashiorkar
3. Pellagra
4. Indicanuria

Correct answer: 3. Pellagra

Explanation: Casal necklace is seen in: Pellagra Due to deficiency of Niacin / Vitamin B3. Tryptophan is used to produce niacin. Niacin deficiency occurs in hartnup disease (defect in the transportation of neutral amino acids) , maize-based diets and carcinoid syndrome. Characterised by 3Ds- Diarrhea, Dermatitis (Casal necklace), Dementia, and finally death.